APGAR score-6 means-
1. Normal
2. Mild depression
3. Severe depression
4. Needs immediate resuscitation

Correct answer: 2. Mild depression

Explanation: Answer-B. Mild depressionAPGAR Score is a quantitative method for assessing infants respiratory circulatory and neurological statusThe test is generally done at one and five minutes afier birth, and may be repeated later if the score is and remains low. Scores 3 and below are generally regarded as critically low, 4 to 6 fairly low, and 7 to l0 generally normal. 012HRAbsent<100>100RespirationAbsentIrregular/weakcryStrong cryReflex irritabilityNo responseGrimaceCouh/sneezeMuscle toneNoneSome flexionWell flexedColorCentral cyanosisPeripheral cyanosisPink